Cadaveric spasm -a) Immediate after deathb) After 2 hours of deathc) Affects voluntary musclesd) Affects involuntary muscle
1. ac
2. bc
3. ad
4. b

Correct answer: 1. ac

Explanation: Cadaveric spasm occurs immediately after death and affects voluntary muscles.